Krabbes disease is due to deficiency of ?
1. Sphingomyelinase
2. Beta galactocerebrosidase
3. Hexosaminidase
4. Arylsulfatase

Correct answer: 2. Beta galactocerebrosidase

Explanation: Ans. is 'b' i.e., Beta galactocerebrosidase